Paltauf's hemorrhages are seen in -
1. Hanging
2. Strangulation
3. Drowning
4. Thermal injury

Correct answer: 3. Drowning

Explanation: Paltauff's haemorrhages: Usually seen in the lower lobes of the lungs in drowning. They may be seen on the anterior surface and interlobar surfaces of lungs. They are red or grey patches. They may be seen on the surface due to interstitial emphysema. They may however be absent. This condition of the lung is called 'Emphysema aquosum' and 'trockenes oedema'. This drowning lung is fairly characteristic but not pathognomic. Reff: The synopsis of forensic medicine & Toxicology 28th edition pg: 193